Maryland bridge was first developed by:
1. Thompson
2. Dunn
3. Tanaka
4. Rochette

Correct answer: 1. Thompson

Explanation: Based on the work of Tanaka et al. on pitting corrosion for retaining acrylic resin facings and the metal etching studies of Dunn and Reisbick, Thompson and Livaditis at the University of Maryland developed a technique for the electrolytic etching of Ni-Cr and Cr-Co alloys.